Subconjunctival cyst is seen in-
1. Toxoplasmosis
2. Cysticercosis
3. Leishmaniasis
4. Chaga's disease

Correct answer: 2. Cysticercosis

Explanation: Parasitic cysts such as subconjunctival cysticercus hydatid cyst and filarial cyst are not infrequent in developing countries. melanoma and lentigo maligna (Hutchinson's freckle). Other common cystic lesions of the conjunctiva are:1. Congenital cystic lesions 2. Lymphatic cysts of conjunctiva. 3. Retention cysts 4. Epithelial implantation cyst (traumatic cyst). 5. Epithelial cysts due to downgrowth of epithelium 6. Aqueous cyst 7. Pigmented epithelial cyst. ref: A K KHURANA OPHTALMOLOGY,E4, Page-86 ref img